Triple test for the diagnosis of Down's syndrome includes all of the following except:
1. Beta hcg
2. Alpha-fetoprotein
3. Inhibin A
4. Serum oestriol level

Correct answer: 3. Inhibin A

Explanation: lnhibin A is not included in Triple test , its is a part of Quadruple test . Triple test AFP+HCG+UE3 Quadruple test Triple test+Inhibin A Combined test (first-trimester screening) PAPPA+HCG+Nuchal translucency Intergrated test First-trimester screening+Quadruple test The most sensitive is the integrated test (94-96% detection rate) The risk for abnormal offpspring for a carrier of balanced chromosomal translocation of 21:21 is 100% Ref: Nelson textbook of pediatrics 21st edition pgno: 661